The last tributary of the azygos vein is:
1. Right superior intercostal vein
2. Hemi-azygos vein
3. Right bronchial vein
4. Accessory azygos vein

Correct answer: 3. Right bronchial vein

Explanation: All of the above are the tributaries of Azygos vein. Right bronchial vein opens into the Azygos vein near its termination into SVC. Fig:- Venous drainage